A patient's lipid profile is as follows, TG - 200 mg/dL, Total Cholesterol 300 mg/dL, HDL 40 mg/dL. Calculate LDL level in this patient.
1. 40 mg/dL
2. 100 mg/dL
3. 220 mg/dL
4. 260 mg/dL

Correct answer: 3. 220 mg/dL

Explanation: Friedwald's equation: Total Cholesterol = HDL+LDL+VLDL Total Cholesterol = HDL+ LDL+ TG/5 (we do not measure VLDL, we measure TG) -LDL= Total cholesterol -HDL- TG/5 (mg/dl) -LDL= Total cholesterol - HDL - TG/2.2 (mmol/L) Total Cholesterol = 300 - 40 - 200/5 = 220 mg/dl